Non contraceptive benefits of OC pills may be seen in all of the following conditions except:
1. Ca endometrium
2. Ca breasts
3. Rheumatoid arthritis
4. Endometriosis

Correct answer: 2. Ca breasts

Explanation: OCPills ( progesterone component) cause a small increase in risk of breast cancer in a high-risk woman. Risk of malignancy completely reverses after 10 years of stoppage Non contraceptive benefits of use of oral contraceptives Menstrual disturbances: irregularity, dysmenorrhea, menorrhagia, ovulation pain Cancers: protective for endometrial and ovarian cancers and choriocarcinoma Benign tumors: benign breast disease, ovarian cysts Endometriosis Acne Hirsutism Rheumatoid arthritis Anemia and malnutrition: by preventing pregnancy and decreasing menorrhagia Osteoporosis